Fructose is transported by
1. GLUT 5
2. GLUT 4
3. GLUT 3
4. GLUT 7

Correct answer: 1. GLUT 5

Explanation: GluT5 is present in small intestine, testis, sperms, kidney. :: fructose transporter; poor ability to transport glucose.Ref: DM Vasudevan, 7th edition, page no: 106